In hemolytic anemia what happens to skull bones –
1. Outer table thickness
2. Diploic space narrows
3. Diploic sapce widness
4. None of the above

Correct answer: 3. Diploic sapce widness

Explanation: In hemolytic anemia (e.g., thalassemia), diploic spaces in the skull are widened.